Ulcerative colitis almost always involves the ... -
1. Caecum
2. Sigmoid
3. Right colon
4. Rectum

Correct answer: 4. Rectum